The most effective medical treatment of nasal polypi is:
1. Topical decongestant nasal drops
2. Anti-histaminic
3. Topical steroids
4. Non-steroid anti-inflammatory drugs (NSAIDs)

Correct answer: 3. Topical steroids

Explanation: Topical corticosteroids cause regression of nasal polypi. Anti-histaminic do not help in regressing polypi. NSAIDs can actually lead to formation of nasal polypi.